Vossius ring is seen in:
1. Cornea
2. Lens
3. Vitreous
4. Retina

Correct answer: 2. Lens

Explanation: Ans. Lens